Most important component of level of living is ?
1. Health
2. Education
3. Occupation
4. Housing

Correct answer: 1. Health

Explanation: Ans. is 'a' i.e., Health